Embryonic period of development is
1. Up to 16 weeks
2. Up to 12 weeks
3. Up to 10 weeks
4. Up to 8 weeks

Correct answer: 4. Up to 8 weeks

Explanation: Development before birth is called prenatal development, and that after birth is called postnatal development. There are three stages in prenatal development. They are: 1. Preimplantation/pre-embryonic period 2. Embryonic period 3. Fetal period. Embryonic Period- It extends from 3rd week of intrauterine life to 8th week of intrauterine life. The following morphogenetic events take place during this period : 1. Trilaminar germ disc differentiation: Formation of three layered germ disc with the appearance of mesoderm in between ectoderm and endoderm. 2. Early organogenesis: Formation of primordia of various organs like lungs, heart, liver, etc. 3. Formation of extraembryonic supportive organs and membranes: Placenta, umbilical cord, amnion, allantois. Ref:Inderbir Singh's Human Embryology, eleventh edition , pg. no.,2.